Infectious mononucleosis affects
1. B cells
2. T cells
3. NK cells
4. Macrophages

Correct answer: 1. B cells